A 40-year-old male presented with a thyroid swelling and dysphagia. He gave history of on and off watery diarrhea. Biopsy of the lesion is shown. What is your diagnosis?
1. Follicular Ca thyroid
2. Papilllary Ca thyroid
3. Medullary Ca thyroid
4. Anaplastic cell Ca Thyroid

Correct answer: 3. Medullary Ca thyroid

Explanation: Ans. (c) Medullary Ca thyroid*Diarrhea in thyroid tumor can be a paraneoplastic syndromes due to VIP in a case of medullary Ca thyroid. Histology demonstrates abundant deposition of amyloid, visible here as homogeneous extracellular material, derived from calcitonin molecules secreted by the neoplastic cells.